In normal diurnal variation, intraocular pressure is:
1. Highest on awakening and lowest during evening
2. Lowest during morning and highest during evening
3. Highest in the morning and evening
4. Lowest in the morning and evening

Correct answer: 1. Highest on awakening and lowest during evening

Explanation: Ans. Highest on awakening and lowest during evening